Obesity is not a feature of -
1. Hypothyroidism
2. Pheochromocytoma
3. Hypogonadism
4. Cushing's syndrome

Correct answer: 2. Pheochromocytoma